All of the following are true about 5-flurouracil except
1. It is a purine analogue
2. 5 - flurouracil acts by inhibiting Thymidilate synthase enzyme
3. It can cause hand & foot syndrome
4. It is used along with folinic acid and oxaliplatin for colorectal cancer

Correct answer: 1. It is a purine analogue

Explanation: 5-flurouracil is a pyrimidine analogue which is converted to dUMP in the cell and inhibits Thymidilate synthase enzyme.

Capecitabine (Prodrug of 5-flurouracil) & 5-flurouracil can cause "Hand & Foot syndrome".
FOLFOX  regimen (Folinic acid, 5-flurouracil and oxaliplatin) is the DOC for colorectal cancer.